Rupture of membrane is said to be premature when it occurs at?
1. 38 weeks of pregnancy
2. 32 weeks of pregnancy
3. Prior to 1st stage of labor
4. II stage of labor

Correct answer: 3. Prior to 1st stage of labor

Explanation: Ans. is c, i.e. Prior to 1st stage of laborRef. Fernando Arias 3/e, p 240; Sheila Balakrishnan, p 233Premature rupture of membranes (PROM) is defined as spontaneous rupture of membranes before the onset of labor. Preterm premature rupture of membranes (PPROM) is defined as premature rupture of membranes before 37 completed weeks.